All of the following are microsomal enzyme inhibitors except
1. Glucocorticoids
2. Cimetidine
3. Ciprofloxacin
4. INH

Correct answer: 1. Glucocorticoids

Explanation: Other inhibitors- Ketoconazole, Metronidazole, Allopurinol, Erythromycin, OCPs, Omeprazole